Which of the following are/is not an activator of alternate complement system?
1. Factor H
2. IgA
3. Bacteria
4. Toxin

Correct answer: 1. Factor H

Explanation: Ans. (a) Factor H(Ref: Robbins 9th/pg 162-164)The alternative pathway, can be triggered by microbial surface molecules (e.g., endotoxin, or LPS), complex polysaccharides, cobra venom, and other substances, in the absence of antibodyFactor I and H inhits complement activation